Attachment to First rib is all EXCEPT
1. Scalenius-anterior
2. Scalenius posterior
3. Scalenius-medialus
4. Suprapleural membrane

Correct answer: 2. Scalenius posterior

Explanation: Ans is 'b' i.e. Scalenus posterior Scalenus posterior is attached to the outer surface of the 2nd rib*.